All of the following are true regarding fluid resuscitation in burn patients except:
1. Consider intravenous resuscitation 1 children with burns greater than 15% TBSA
2. Oral fluids must contain salts
3. Most preferred fluid is Ringer's lactate
4. Half of the calculated volume of fluid should be given in first 8 hours

Correct answer: 1. Consider intravenous resuscitation 1 children with burns greater than 15% TBSA

Explanation: Ans. (a) Consider intravenous resuscitation in children with burns greater than 15% TBSA* More than 10% burns in children need fluid resuscitation.